Corpus rotation in relation to cranium is known as
1. Matrix
2. Intramatrix
3. Internal rotation
4. Apparent rotation

Correct answer: 3. Internal rotation